In Barrett's oesophagus, lining is
1. Squamous cell epithelium
2. Transitional cell epithelium
3. Secreting columnar cell epithelium
4. None of the above

Correct answer: 3. Secreting columnar cell epithelium

Explanation: .BARRETT'S OESOPHAGUS is the metaplastic changes in the mucosa of the oesophagus as the result of GORD. * Squamous epithelium of lower end of the oesophagus is replaced by diseased columnar epithelium (columnar metaplasia). * There is a macroscopical visible length of columnar mucosa with microscopic features of intestinal metaplasia. * It affects lower oesophagus commonly often middle oesophagus also. Ref: SRB's manual of surgery,3 rd ed, pg no 744